An infertile women has bilateral tubal block at cornua diagnosed on hysterosalpingography. Next step in treatment is:
1. IVF
2. Laparoscopy and hysteroscopy
3. Tuboplasty
4. Hydrotubation

Correct answer: 2. Laparoscopy and hysteroscopy